Antidote in Atropine poisoning is -
1. Flumazenil
2. Physostigmine
3. Naloxone
4. NaHCO3

Correct answer: 2. Physostigmine

Explanation: Ans. is 'b' i.e., Physostigmine o Atropine blocks cholinergic receptors. o So, for atropine overdose, we require a drug that increases cholinergic action, o Physostigmine increases the concentration of Ach. o Physostigmine counteracts central (because it crosses BBB) as well as peripheral symptoms of atropine toxicity (other anticholinesterases like neostigmine and pyridostigmine counteract only peripheral symptoms as they cannot cross BBB) - Physostigmine is the DOC.